Which of the following is true about Torous tubarius?
1. Nasopharyngeal bursitis
2. Most common site of carcinoma Nasopharynx
3. Tubal elevation in lateral wall of Nasopharynx
4. Gives rise to Rathke's pouch

Correct answer: 3. Tubal elevation in lateral wall of Nasopharynx

Explanation: Lateral wall of nasopharynx - Each lateral wall presents pharyngeal opening of eustachian tube situated 1.25cm behind posterior end of inferior turbinate Bounded above and behind by an elevation called Torous Tubarius. Raised by the cartilage of the tube Above and behind the tubal elevation is a recess - fossa of Rosenmuller (commonest site for origin of carcinoma) A ridge extends from the lower end of torus tubarius to the lateral pharyngeal wall - salpingopharyngeal fold.